The lymphatic drainage of pyriform fossa is to
1. Prelaryngeal node
2. Parapharyngeal nodes
3. Mediastinal nodes
4. Upper deep cervical nodes

Correct answer: 4. Upper deep cervical nodes

Explanation: Lymphatic drainage of Hypopharynx 1) Pyriform sinus drains into upper jugular chain and then to deep cervical group of lymph nodes. 2) Postcricoid region drains into parapharyngeal and paratracheal group of lymph nodes. 3) Posterior pharyngeal wall drains into parapharyngeal lymph nodes and finally to deep cervical lymph nodes. Ref:- Tuli; pg num:- 231, 232